A 32-yrs-old woman is diagnosed with major depression. What is the chance that her identical twin sister will develop the same disease?
1. 5%
2. 25%
3. 50%
4. 75%

Correct answer: 3. 50%

Explanation: The concordance rate for mood disorders (Mania) in monozygotic twins averages 70% and for depression it is 50% when various studies are combined. The concordance rate in dizygotic twins is approximately 20%.